Mean circulatory filling pressure is
1. Difference between systemic and pulmonary arterial pressure
2. Difference between central venous pressure and central arterial pressure
3. Mean atrial pressure
4. Arterial pressure taken at the point when heart stops beating

Correct answer: 4. Arterial pressure taken at the point when heart stops beating

Explanation: When heart pumping is stopped by shocking the heart with electricity to cause ventricular fibrillation or is stopped in any other way, flow of blood anywhere in circulation ceases a few seconds later. Without blood flow the pressure everywhere in circulation become equal. This equilibrated pressure level is called mean circulatory filling pressureRef: Guyton and Hall, Textbook of medical physiology, 2ndSouth Asia Edition